An ultrasound examination shows dilated intrahepatic biliary channels with a small gallbladder. The most likely possibility is
1. Gallbladder stones
2. Pancreatic calculus
3. Common bile duct stone
4. Carcinoma of the head of the pancreas

Correct answer: 3. Common bile duct stone

Explanation: DIAGNOSIS OF CBD STONE USG : first test, can document GB stones and estimate the CBD diameter A dilated bile duct (>8mm in diameter) in a patient with gallstones, jaundice and biliary pain is highly suggestive of choledocholithiasis MRCP : Provides excellent anatomic detail, with sensitivity and specificity of 95 %and 98 %respectively, and CBD stones ERCP :Diagnostic and therapeutic test of choice for patients with suspected CBD stones Ref: Sabiston 20th edition Pgno :1494